How should a woman who had 4 pregnancies at term delivered, one of which is twin pregnancy be designated?
1. Gravida 4 Para 5
2. Gravida 4 Para 4
3. Gravida 5 Para 4
4. Gravida 5 Para 5

Correct answer: 2. Gravida 4 Para 4

Explanation: Gravida: a woman who currently is pregnant or has been in past, irrespective of the pregnancy outcome. With the first pregnancy, she becomes a primigravida and with successive pregnancies, a multigravidaPARA: Parity is determined by the number of pregnancies reaching 20weeks. It is neither increased to a higher number if multiples are delivered nor decreased if a stillbirth is born in a given pregnancy.Primipara: a woman who has delivered only once a fetus or fetuses born alive or dead with a gestational age of 20 or more weeks. Multipara: a woman who has completed two or more pregnancies with gestational age 20 or more weeks.Reference: William's obstetrics; 25th edition